Best method of contraception in a commercial sex worker-
1. IUCD
2. OCP
3. Permanent sterilization
4. Barrier methods

Correct answer: 4. Barrier methods

Explanation: Ans. is 'd' i.e., Barrier methods Barrier method provide protection against S.TD